Which of the following effects is unlikely to occur during treatment with imipramine?
1. Elevation of seizure threshold
2. Mydriasis
3. Sedation
4. Urinary retention

Correct answer: 1. Elevation of seizure threshold

Explanation: (Ref: KDT 6/e p444) Imipramine is a tricyclic antidepressant. It inhibits the reuptake of serotonin and nor-adrenaline. In addition, it possesses anticholinergic and a-blocking properties are: Increased risk of seizures due to lowering of Seizure threshold is an adverse effect of this drug.